A 47-year-old man with type II diabetes reports for his 6-month checkup. His doctor prescribes a daily 30-minute routine of walking at a brisk pace. During aerobic exercise, blood flow remains relatively constant to which of the following organs?
1. Brain
2. Heart
3. Kidneys
4. Skeletal muscle

Correct answer: 1. Brain

Explanation: Cerebral blood flow at rest is about 750 mL/min and remains unchanged during any grade of muscular exercise. During exercise, coronary blood flow is increased by four to five times with 100% O2 utilization. Renal blood flow is also decreased by 50-80% in severe exercise. During strenuous exercise muscle blood flow can increase up to 20 times, i.e. about 50-80 mL/ 100 g/min muscle tissue.